All of the following are risk factors for the development of urinary tract infection during pregnancy, EXCEPT:
1. Diabetes
2. Hypertension
3. Sickle cell anemia
4. Vesicoureteral reflux

Correct answer: 2. Hypertension

Explanation: Urinary tract infection is one of the most common medical complications occurring in pregnancy. Majority of infections is confined to the lower urinary tract and is classified as asymptomatic bacteriuria. Risk factors for bacteriuria in pregnancy includes socioeconomic status, sickle cell disease, abnormalities of urinary tract, spinal cord injuries or multiple sclerosis leading to urinary retention, diabetes and history of UTI. Hypertension is not a risk factor for development of UTI. Ref: COBGDT, 9th Edition, Page 423 ; Protocols for Infectious Diseases in Obstetrics and Gynecology By Philip B. Mead, 2nd Edition, Pages 51-5